Carboxylation is governed by -
1. Biotin
2. Niacin
3. Thiamine
4. Pyridoxine

Correct answer: 1. Biotin

Explanation: Ans. is 'a' i.e., Biotin VitaminActive form (coenzvmes)Reaction typeB1 (Thiamin)Thiamine pyrophosphate (TPP)Oxidative decarboxylation, TransketolationB2 (Riboflavin)FMNt FADOxidation / Reduction (Redox reaction)B3 (Niacin)NAD\ NADP"Oxidation / Reduction (Redox reaction)B6 (Pyridoxin)Pyridoxal phosphate (PLP)Transamination, deamination, decarboxylation, condensation, trans-sulfurationBp (cobolamin)Methylcobalamin, deoxyadenosylcobalaminIsomerization of methylmelonyl-CoA to succinvl-CoA, synthesis of methionine from homocysteineFolic acidTetrahydrofolate (THF)One carbon group transferBiotinBiocytinCarboxylationPantothenic acidPentothenate in CoA and ACPAcyl group transferVitamin KVitamin KCarboxylation of glutamic acid residue